Commonest complication of pancreatic pseudocyst ?
1. Rupture
2. Infection
3. Obstruction of GIT
4. Hemorrhage

Correct answer: 2. Infection

Explanation: Answer is 'b' i.e. Infection "Other than pain, infection is the most common complication" - Maingot's 10/e, p 1929 Other complications are: Obstruction of GIT Hemorrhage Rupture Pseudoanetoysm - splenic artery is most frequently involved.